Homogenous opacification of right hemithorax with right sided shift of mediastinum may be caused by
1. Collapse of Right lung
2. Consolidation of Right lung
3. Right sided hemothorax
4. Left sided hydrothorax

Correct answer: 1. Collapse of Right lung

Explanation: Answer is A (Collapse of Right lung): Collapse of Right lung may present with homogeneous opacification of right hemithorax and ipsilateral mediastinal Shift. Condition Findings Consolidation : Ipsilateral Hamogenous opacification & No mediastinal shift Collapse : Ipsilateral Homogenous opacification & Ipsilateral mediastinal shift Hemothorax : Ipsilateral homogenous opacification & Contralateral shift Hydrothorax : Ipsilateral homogenous opacification & Contralateral shift